False about slipped capital femoral epiphysis
1. Limitation of abduction and internal rotation
2. Trethowan's sign
3. Limitation of Extension
4. Associated with Hypothyroidism

Correct answer: 3. Limitation of Extension